Most common cause of thyrotoxicosis in childhood?
1. Toxic nodular goitre
2. Toxic adenoma
3. Graves disease
4. Thryotoxicosis factitia

Correct answer: 3. Graves disease

Explanation: Ans. is 'c' i.e., Graves disease